Q fever is caused by which Rickettsial Agent
1. R. prowazekii
2. R. tsutsugamushi
3. C. burnetii
4. Rochalimaea quintana

Correct answer: 3. C. burnetii

Explanation: The causative agent is Coxiella burnetii. It is found in ticks which act as vectors as well as reservoir Ref:Pg No:328; Park 25th Edition